The family where parents have separated is
1. Broken family
2. Problem family
3. Dysfunctional family
4. Consanguineal family

Correct answer: 1. Broken family